A child was dead in an fire accident department following CO poisoning. Which of the following is a feature of death due to CO poisoning?
1. Cherry red colour
2. Cyanosis
3. Petechial haemorrhage over conjunctiva
4. Frothing at the mouth

Correct answer: 1. Cherry red colour

Explanation: Above 80% of COHb% causes rapid death from respiratory arrest. A cherry-red colouration of the skin, mucous membranes, conjunctiva, nail beds, areas of hypostasis, blood, tissues, and internal organs is seen in CO poisoning. This colour changes to dark-green, then to brown with the onset of decomposition. Ref: The Essentials of Forensic Medicine and Toxicology by Dr K. S.Narayan Reddy, 27th edition, Page 555.